Antigaucomatous drug causing spasm of accommodation-
1. Timolol
2. Pilocarpine
3. Dorazolamide
4. Latanoprost

Correct answer: 2. Pilocarpine

Explanation: Ans. is 'b' i.e., PilocarpineOcular side effects of topical agents for POAGo b-blocker: Allergic blepheroconjunctivitis, corneal hyposthesia, blurred vision, dry eye, superficial punctate keratitis.o Cholinomietics (pilocarpine): Blurred vision, miosis, accommodative spasm, browache.o Sympathomimetics(i) Non-selective (Dipivefrine): Follicular conjuncti vities, rebound congestion, macular edema in aphakic(ii)Apraclonidine: Allergies, lid retraction, follicular conjunctivitis, fluctuation in visual acuity(iii)Brimonidine: Ocular allergy, conjuntival blanching.o Carbonic anhydrase inhibitors (Dorzolamide, brinaolamide): Punctate keratitis, ocular allergies.o Prostaglandin analogues (Latanoprost): Punctate keratitis, iris pigmentation.